The final sugars in intestinal chyme are :
1. Glucose & fructose
2. Ribose & mannose
3. Ribose & xylulose
4. Xylulose & fructose

Correct answer: 1. Glucose & fructose

Explanation: A i.e. Glucose & fructose